Rate Limiting enzyme for Cholesterol synthesis is
1. HMG Co-A synthase
2. Mevalonate kinase
3. HMG Co-A reductase
4. L-acyl cholesterol transferase

Correct answer: 3. HMG Co-A reductase

Explanation: (C) HMG Co-A reductase# 3-hydroxy-3-methylglutaryl-CoA (HMG-CoA) reductase is the rate-controlling enzyme of the mevalonate pathway, the metabolic pathway that produces cholesterol and ther isoprenoids.Bio synthesis of Lipids - Multiple Steps IMPRTANT RATE-LIMITING ENZYME REACTIONSUrea cycleCarbamoyl phosphate synthetase IGlycolysisPFK-1GluconeogenesisFructose-1,6-bisphosphatase (reverses PFK-1 step)TCA cycleIsocitrate DHGlycogen synthesisGlycogen synthaseGlycogenolysisGlycogen phosphorylase (requires pryridoxal phosphate, the active form of B6)HMP shuntG6PD (deficient in "hemolysis IS PAIN" - INH, sulfonamides, primaquine, aspirin, ibuprofen, nitrofurantoin)De novo pyrimidine synthesisCarbamoyl phosphate synthetase li (combined orotic acid phosphoribosyltransferase/ orotidine-5-phosphate decarboxylase)De novo purine synthesisGlutamine-PRPP amidotransferase.Fatty acid synthesisFatty acid oxidationAcetyl-CoA carboxylase (ACC)Carnitine acyltransferase IKetogenesisHMG-CoA synthaseCatecholamine synthesisTyrosine hydroxylaseCholesterol synthesisHMG-CoA reductase (blocked by statins)